The cell free zone in pulp lies:
1. Above odontoblast
2. Below odontoblast
3. In radicular pulp
4. In pulp horn

Correct answer: 2. Below odontoblast